Klatskin tumor: (Repeat)
1. Primitive neuroectodermal tumor in chest
2. Cholangiocarcinoma arising from bifurcation of bile duct
3. Lung adenocarcinoma involving apical region
4. Enterochromaffin cell tumor

Correct answer: 2. Cholangiocarcinoma arising from bifurcation of bile duct

Explanation: Ans: B (Cholangiocarcinoma arising from bifurcation of bile duct) Ref: Benbrahim Z et al. Askin's tumor: a case report and literature review. World J Surg Oncol. 2013: 11: 10.Explanation:Cholangiocarcinoma arising from bifurcation of bile duct - Klatsin tumorLung adenocarcinoma involving apical region - Pancoast tumorAskin tumors - Primitive neuroectodermal tumors (PNET) arising from the chest wallOther named TumorsBuschke-Lowenstein tumor-- Giant condyloma acuminatumAckerman tumor - Subtype of Verrucous Carcinoma (Carcinoma cuniculatum)Grawitz tumor - Renal cell carcinomaKrukenberg tumor - Metastatic secondaries in GIT from an ovarian primaryKuttner's stumor - Sialadenitis (sialoadenitis) - Inflammation of a salivary glandPotts puffy tumor - Frontal osteomyelitis with subperiosteal abscess e:Wilms tumor - Nephroblastoma affecting children